True about Rx of Phenylketonuria
1. Limiting the substrate for deficient enzyme
2. Giving the missing amino acids by diet
3. Gene therapy can be successfully used
4. Child should refrain from milk.

Correct answer: 1. Limiting the substrate for deficient enzyme